All are antigen presenting cells except-
1. Langerhan's cell
2. Dendritic cells
3. T-cells
4. B-cells

Correct answer: 3. T-cells

Explanation: Reference :Robbins basic pathology 9th edition page no 104:the antigen presenting cells are Dendritic cells, B cells, Langerhans cells